Which statement best describes the cervix and vagina?
1. The anterior part of the cervix is covered with peritoneum.
2. The vagina is covered with peritoneum anteriorly.
3. The ureter is a close relation of the cervix.
4. The entire vagina is supplied with sensory fibres by the pudendal nerve.

Correct answer: 3. The ureter is a close relation of the cervix.

Explanation: The ureter lies approximately 12 mm lateral to the supravaginal cervix. This accounts for the occurrence of hydronephrosis as a complication of disseminated carcinoma of the cervix. The anterior part of the cervix is in contact with the bladder and supravaginal cervix. The posterior part is covered by the peritoneum of the Pouch of Douglas. The vagina is related anteriorly to the base of the bladder and the urethra. The upper part of the posterior wall of the vagina is covered by the peritoneum of the pouch of Douglas. The lower vagina is supplied by the perineal and posterior labial branches of the pudendal nerve.